FIGLU excretion in the urine, is an index of the deficiency of:
1. Thiamine
2. Niacin
3. Pyridoxine
4. Folate

Correct answer: 4. Folate

Explanation: Folate